Most common cause of Abortion :
1. Ovofetal factor
2. Maternal hypoxia
3. Uterine fibroid
4. Cervical incompetence

Correct answer: 1. Ovofetal factor

Explanation: Ovofetal factor